Pimvanserin is used in the treatment of
1. Schizophrenia
2. Down's syndrome
3. Parkinsonism
4. Huntington's chorea

Correct answer: 3. Parkinsonism

Explanation: Pimvanserin is a 5HT2A blocker used to treat delusions and hallucinations in Parkinson's disease associated psychosis.